Aeroplane splint is used in ?
1. Radial nerve injury
2. Ulnar nerve injury
3. Brachial plexus injury
4. Scoliosis

Correct answer: 3. Brachial plexus injury

Explanation: Ans. is 'c' i.e., Brachial plexus injury Name Use Cramer-wire splint Thomas splint Bohler-Braun splint Aluminium splint Dennis Brown splint Cock-up splint Knuckle-bender splint Toe-raising splint Volkmann's splint Four-post collar Aeroplane splint SOMI brace ASHE (Anterior spinal hyperextension) Taylor's brace Milwaukee brace Boston bracet Lumbar corset Emergency immobilisation Fracture femur-anywhere Fracture femur-anywhere Immobilization of fingers CIEV Radial nerve palsy Ulnar nerve palsy Foot drop Volkmann's ischaemic contracture (VIC) Neck immbilisation Brachial plexus injury Cervical spine injury Dorso-lumbar spinal injury brace Dorso-lumbar immobilisation Scoliosis Scoliosis Backache